Pulmonary vasoconstriction is caused by
1. Prostacyclin
2. Alpha-2 stimulation
3. Hypoxia
4. Histamine

Correct answer: 3. Hypoxia

Explanation: Prostacyclin, alpha 2 stimulation, and Histamine are potent vasodilators.Ref: Ganong review of medical physiology 23rd edition Page no: 563